In the newborn, chest compression should be started if the heart rate is -
1. < 120/min
2. < 100/min.
3. <80/min.
4. <60/min.

Correct answer: 4. <60/min.

Explanation: Ans. is 'd' i.e., < 60/min. NewbornInfantChildAdultCommentsAge criteria 0-1 year1-14 years (medical personal) 1 -8 yrs (lay-re scuers)> 14 yrs for (medical personal) l -8 yrs (lay-rescuers)Previously child was 1-8 yearsfor allPulse checkHeart (Auscultation)Brachial femoralCarotidcarotid/femora] Compression areaLower 1/3 of sternumMidstemum (line below intersection of intermammaiy line)Midsternum (2 finger above intersection of intermammary line)Lower 1/3 sterum (2 finger above xiphisternum) Compression method2 thumb with encircled chest2-3 fingersHeel of one handHeel of two hand one locked over otherCompression for new born should be started if HR < 60/minSternal depth1/2-1 inch1/2-1 inch1-1/4 inch1-114 inch Compression rate90/min.KK)/min100/min1 OG/min Ventilation rateIf compression is also provided simultaneouslyIf only ventilation i: to be provided i.e., pulses are present 30/min.8-10/min.8-10/min.8-10/min. 40-60/min12-20/min12-20/min.10-12/min. Compression ventilation ratio # without advanced airway in place (i.e. vent, by mouth to mouth or nose, bag & mask vent.)3:1 with pause for ventilation (synchronized) (90 compression with 30 breaths)30:2 for single resuscitator 15:2 for two resuscitators30:2 for single resuscitator 15:2 for two resuscitators30:2 irrespective of no. of resuscitatorsPreviously it was - 15:2 before intubation.# with an advanced airway in place (i.e., endotracheal tube, LMA, combitube, tracheostomy tube)- same -100 compression-'min and 8-10 breath' min. without any synchronization (i.e., no pause for ventilation)100 compression and 8-10 breath/per min without synchronization100 compression 8-10 breath/min without any synchronizationPreviously it was 5:1 after intubation